All are true about Hypertrophic Cardiomyopathy except
1. Dilated ventricle
2. Increased muscle mass
3. LV outflow obstruction
4. Diastolic failure

Correct answer: 1. Dilated ventricle

Explanation: (A) Dilated ventricle # Hypertrophic cardiomyopathy (HCM) is characterized by LV hypertrophy, typically of a nondilated chamber, without obvious cause, such as hypertension or aortic stenosis.> It is found in about 1 in 500 of the general population. Two features of HCM have attracted the greatest attention: Asymmetric LV hypertrophy, often with preferential hypertrophy of the interventricular septum; and A dynamic LV outflow tract pressure gradient, related to narrowing of the subaortic area.> About one-third of patients with HCM demonstrate an outflow tract pressure gradient at rest and a similar fraction develop one with provocation.> The ubiquitous pathophysiologic abnormality is diastolic dysfunction, which can be detected by Doppler tissue imaging and results in elevated LV end-diastolic pressures; the latter may be present despite a hyperdynamic, nondilated LV.